Sickle cell anemia is the clinical manifestation of homozygous genes for an abnormal hemoglobin molecule. The event responsible for the mutation in the B chain is:
1. Insertion
2. Deletion
3. Nondisjunction
4. Point mutation

Correct answer: 4. Point mutation

Explanation: Ans. D. Point mutationThe mutation in HbS is an example ofPoint mutationPartially acceptable mis-sense mutationTransversionBase substitution.Nonconservative mutation